Density of cells in adult corneal endothelium is
1. 2000 cells/mm2
2. 3000 cells/mm2
3. 4000 cells/mm2
4. 5000 cells/mm2

Correct answer: 2. 3000 cells/mm2

Explanation: (Refer: AK Khurana Comprehensive Ophthalmology, 6th edition, pg no. 95 - 96)The cell density of corneal endothelium is around 3000 cells/mm2 in young adults, which decreases with the advancing age